Nitroglycerine exerts beneficial effects in classical angina pectoris primarily by:
1. Increase in total coronary blood flow
2. Redistribution of coronary blood flow
3. Reduction of cardiac preload
4. Reduction of cardiac afterload

Correct answer: 3. Reduction of cardiac preload

Explanation: (Ref: KDT 6/e p523) Mechanism of action nitrates in classical angina is reduction in preload (due to venodilation) and in variant angina is coronary vasodilation.